Non bile stained eggs is found in:
1. Ancylostoma duodenale
2. Trichuris trichura
3. Ascaris lumbricoides
4. All of the above

Correct answer: 1. Ancylostoma duodenale

Explanation: Ans. A: Ancylostoma duodenale The parsites producing non bile stained eggs are 'NEHA' Necator americanus Enterobius vermicularis (Pinworm) Hymenolepis nana (Dwarf tapeworm) Ancylostoma duodenale (Hookworm)